Boundary of the Kochs triangle is not formed by-
1. Tricuspid valve ring
2. Coronary sinus
3. Tendon of todaro
4. Limbus fossa ovalis

Correct answer: 4. Limbus fossa ovalis

Explanation: Boundaries of triangle of Koch
-        Superior- Tendon of Todaro
-        Inferior- Septal leaflet of Tricuspid valve
-        Basal- Coronary sinus orifice